Cryptococcus neoformans has significant predilection for
1. Central nervous system
2. Respiratory system
3. Gastro intestinal system
4. Cardiovascular system

Correct answer: 1. Central nervous system